Deformity in transient synovitis of Hip ?
1. Abduction
2. Flexion
3. External rotation
4. All of the above

Correct answer: 4. All of the above

Explanation: Ans. is 'd' i.e., All of the above Transient synovitis of Hip Transient synovitis of hip is also known as observation hip, toxic synovitis or irritable hip. Its a self-limiting, inflammatory condition of the synovium, that lasts only a short time (therefore known as transient) It is the most common cause of hip pain and limp in children under 10 yrs of age. Cause is not known but association has been seen with a recent history of an upper respiratory tract infection. Presentation is with hip pain or limp. The limb is in attitude of slight flexion, abduction and external rotation. The child may have low grade fever. The ESR, C-Reactive protein & WBCs count are normal (This differentiates Transient synovitis from Septic arthiritis a serious condition, in which patient has high grade fever and elevated ESR, C-Reactive protein and WBC count). Radiograph or ultrasound may show widening of the joint space However, most of the time x-ray is normal. Usually the treatment of a clinically suspected case of transient synovitis of hip is Bed rest, NSAIDS and observation. USG guided aspiration is indicated for :- Temperature > 99.5deg F ESR > 20 (Raised ESR) Severe hip pain with ROM